Which of the following is a pure beta particle emitter?
1. Co 6deg
2. 1131
3. P 32
4. Gold

Correct answer: 3. P 32

Explanation: P 32 REF: Meredith radiation physics and nuclear medicine p 28 Phosphorus-32 is a short-lived high energy beta emitter Beta rays --- , 32 P SRT , 90 r y 90 Beta and gamma Ra - 226 , Au-198 , I - 131 Gamma Ir- 192, Co-60, Cs - 137, Xe - 133, 1-123, I - 132, Tc- 99, Ga- 70, T1-201, Rn - 222, Cr -51, k - 81 N N, Gamma Cf - 252, Ta-